Most common site of scaphoid fracture is -
1. Waist
2. Proximal fragment
3. Distal fragment
4. Tilting of the Innate

Correct answer: 1. Waist

Explanation: Sites of scaphoid fracture 

Most common site of scaphoid fracture is the waist of the scaphoid (70%).


Other sites of fracture are proximal pole (20%), distal body (10%), tuberosity, osteochondral fracture.